The most important factor on which development of papilloedema depends in intracranial tumour is
1. Site of tumour
2. Nature of tumour
3. Size of tumour
4. Rate of growth

Correct answer: 1. Site of tumour